Complete Cochlear Dysplasia is known as?
1. Michael Dysplasia
2. Mondini dysplasia
3. Bing Dysplasia
4. Scheibe Dysplasia

Correct answer: 1. Michael Dysplasia

Explanation: Ans. A Michael Dysplasia (Ref. Cochlear Implants: John Niparko 2nd/pg.48). Congenital inner ear malformations 1 Mondini Dysplasia, (Mondini malformation, Mondini defect) cochlea that is incomplete. A normal cochlea has two and a half turns, a cochlea with Mondini dysplasia has two, one and a half, one, or no turns (or increments). 2 Michael deformity Complete labyrinthine aplasia. 3 Bing-Siebenmann deformity Complete membraneous labyrinthine dysplasia. 4 Scheibe deformity Cochleaosaccular dysplasia (the most common form of congenital dysplasia of inner ear). 5 Alxeander's deformity Cochlaer Basal Turn dysplasia.